The cross-bridges of the sarcomere in skeletal muscle are components of:
1. Myosin
2. Actin
3. Troponin
4. Tropomyosin

Correct answer: 1. Myosin

Explanation: The cross-bridges of the sarcomere in skeletal muscle are components of myosin. The myosin heads contain enzymes and ATP that will cause attachment to active sites on actin filaments when they are uncovered. Tropomyosin covers these active sites until troponin binds with Ca++ and causes the tropomyosin to move off these sites. Myelin is the sheath on certain axons that is created by Schwann cells. Ref: Barrett K.E., Barman S.M., Boitano S., Brooks H.L. (2012). Chapter 5. Excitable Tissue: Muscle. In K.E. Barrett, S.M. Barman, S. Boitano, H.L. Brooks (Eds),Ganong's Review of Medical Physiology, 24e.